Nerve supply of the tympanic membrane is by -
1. Auriculotemporal
2. Lesser occipital
3. Greater occipital
4. Parasympathetic ganglion

Correct answer: 1. Auriculotemporal